Type II ZOE is
1. Intermediate restorative material
2. Temporary material
3. Long term luting agent for fixed prosthesis
4. Can be used as a base

Correct answer: 3. Long term luting agent for fixed prosthesis